Consequence of maternal use of cocaine is:
1. Hydrops
2. Sacral agenesis
3. Cerebral infarction
4. Hypertrichosis

Correct answer: 3. Cerebral infarction

Explanation: Cocaine addiction can cause – miscarriage, intrauterine fetal death, PROM, preterm labour and IUGR.
It can lead to the following Malformations in the fetus:

Microcephaly, cutis aplasia, porencephaly, subependymal and periventricular cysts, ileal atresia, cardiac anomalies, visceral infarcts, limb reduction defects and genitourinary malformations.
It produces cerebral infarction and periventricular leukomalacia in the fetus.
The risk of malformations in the embryo/fetus is highest after the first trimester.